Elimination of alcohol follows
1. Zero order kinetics
2. First order kinetics
3. Second order kinetics
4. Third Order kinetics

Correct answer: 1. Zero order kinetics

Explanation: Elimination of alcohol from blood is always linear with time, i.e., zero order kinetics. Ref-KDT 6/e p38